All the following represent risk factors associated with pelvic inflammatory disease except -
1. Recent new sexual partner
2. Douching
3. Low socioeconomic status
4. Age 30 - 39 years

Correct answer: 4. Age 30 - 39 years

Explanation: Ans is 'd' i.e., Age 30 - 39 yearPelvic inflammatory diseaseo This is an infection of the upper female reproductive tract organs. Another diagnosis given to this disease is acute salpingitis. Although all may be involved, the reproductive tract organ of importance, with or without abscess formation, is the fallopian tube.o The clinical importance of diagnosing PID is emphasized by its known sequelae, which include tubal-factor infertility, ectopic pregnancy, and chronic pelvic pain.o Classic salpingitis is associated with and secondary to N gonorrhoeae infection, and C trachomatis is also commonly recovered. Another species frequently found is T vaginalis.Risk factors associated with pelvic inflammatory disease are:o Doughingo Single statuso Substance abuseo Multiple sexual partnerso Lower socio - economic statuso Recent new sexual partnero Young age 10-19 yearso Other sexually transmitted infections o Sexual partner with urethritis or gonorrhoeso Previous diagnosis of pelvic inflammatory diseaseo Not using mechanical or chemical contraceptive barrierso Endocervical testing positive for N. gonorrhea or C. trachomatis